"Tophus" is the pathognomic lesion of which of the following condition:
1. Multiple myeloma
2. Cystinosis
3. Gout
4. Eale's disease

Correct answer: 3. Gout

Explanation: Ans. is 'c' i.e. Gout Tophi are pathognomic of gout. They are formed by large aggregations of urate crystals. The urate crystals are surrounded byMacrophagesLymphocytesLarge foreign body giant cellsThey are seen in the-Articular cartilages of joints *Periarticular ligaments*Tendons and soft tissues*Achilles tendon*Earlobes*Also remember these very important points related to Gout-Hyperuricemia is present in approximately 5% of individuals. Most of them are asymptomatic with regard to their hyperuricemia and are at no clinical risk.The most recognized complication of Hyperuricemia is Gouty arthritis. The higher the serum level of urate the more likely an individual is to develop Gout.Acute attack of gout occurs without any precipitating cause or may occur following rapid fluctuations in serum urate levels.Most common joint involved in Gout is Big toe (First metatarsophalangeal)Diagnosis of Gout- - By observing monosodium urate crystals in polarized light. These are needle shaped* and strongly negative birefringent crystal